Use of tiotropium is contra–indicated in:
1. Bronchial asthma
2. Hypertension
3. Urinary retention
4. Peptic ulcer disease

Correct answer: 3. Urinary retention

Explanation: SPIRIVA HANDIHALER (tiotropium bromide inhalation powder) is indicated for the long-term,
once-daily, maintenance treatment of bronchospasm associated with chronic obstructive pulmonary disease (COPD), 
including chronic bronchitis and emphysema. SPIRIVA HANDIHALER is indicated to reduce exacerbations in COPD patients